The most common site of puerperal infection is :
1. Episiotomy wound
2. Placental site
3. Vaginal laceration
4. Cervical laceration

Correct answer: 2. Placental site

Explanation: Placental site